Increased glucose is due to-
1. Glucagon
2. Insulin
3. Secretin
4. None

Correct answer: 1. Glucagon

Explanation: Ans. is 'a' i.e,, Glucagon o Glucagon is a polypeptide hormone which is secreted by the A cells of the islets of Langerhans of pancreas. Glucagon is a group IIA hormone, i.e., acts by increasing cAMP. The actions of glucagon are somewhat opposite those of insulin.1) Glucagon stimulates glycogenolysis in the liver but not in muscle. Breakdown of glycogen yields glucose.2) Glucagon stimulates production of glucose from amino acids (gluconeogenesis). Both glycogenolysis and gluconeogenesis tend to raise plasma glucose level.3) Glucagon stimulates lipolysis. Breakdown of lipids yields free fatty adds, which may be oxidized completely to carbon dioxide, or incompletely to form ketone bodies.